All of the following structures press over the oesophagus, except:
1. Aortic arch
2. Left atrium
3. Left bronchus
4. Right bronchus

Correct answer: 4. Right bronchus

Explanation: Right bronchus